All of the following clinical syndroms are produced by leishmaniasis, except -
1. Splenomegaly
2. Pancytopenia
3. Dysphagia, chest pain and pyrexia with cough
4. Diffuse skin lesions

Correct answer: 3. Dysphagia, chest pain and pyrexia with cough